Intermediate host of Taenia saginata?
1. Cattle
2. Man
3. Swine
4. Bat

Correct answer: 1. Cattle

Explanation: Ans. a. CattleCestodesIntermediate hostDefinitive hostTaenia saginata (beef tapeworm)CattleHumans*Taenia solium (pork tapeworm)Swine; Rarely: humans*Humans; developing and Slavic countriesDiphyllobothrium Latum (fish tapeworm)Crustaceans - fish; rare: humansHumans/mammals; cool lake regionsEchinococcus granulosusHerbivores; rare: humansCarnivores in sheep-raising areasEchinococcus multilocularisRodentsCanines and cats; northern areasDefinitive host=adult tapeworm develops in; intermediate host=cysticerci or larvae develop in; cysticerci=encysted larvae found in intermediate host. Common name is in parentheses.